A stellate granuloma is seen in?
1. Crohn's disease
2. Hodgkin's disease
3. Cat scratch disease
4. Berrylliosis

Correct answer: 3. Cat scratch disease

Explanation: Stellate granulomas

Granuloma with characteristic central neutrophilic abscess surrounded by macrophages and other mononuclear cells are characteristic findings in lymph nodes in cat scratch disease, lymphogranuloma venereum, and tularemia.

In these conditions, the granulomas are often large and irregular in shape and may exhibit a stellate configuration.

Repeat from previous sessions.